FFP is stored at what temperature ?
1. 2 - 4degrees Celsius
2. 0 - (-25) degrees celsius
3. Below (-25) degrees Celsius
4. 2 - 10 degrees Celsius

Correct answer: 3. Below (-25) degrees Celsius

Explanation: Ans. is 'c' i.e., Below (-25) degrees Celsius Fresh frozen plasma must be stored in blood bank at or below -25 degrees celcius till it is thawed before transfusion. Most of the clotting factors are stable at refrigerator temperature but factors V and VIII require temperatures less than - 25 degrees Celsius.